Bagassosis is due to inhalation of:
1. Cotton dust
2. Sugarcane dust
3. Silica dust
4. Coal dust

Correct answer: 2. Sugarcane dust

Explanation: Ans: bRef: Park, 17th ed, p. 576 & 18th ed, p. 608